Which one of the following is a conjugated vaccine :
1. Hepatitis B
2. Rubella
3. Hemophilius influenza
4. Pertussis

Correct answer: 3. Hemophilius influenza

Explanation: HIB PRP vaccine (conjugate vaccine) is available for H. influenzae type b.
Currently no vaccine is available for non typable strains.